Which of the following differentiates Hodgkin's lymphoma from non Hodgkin's lymphoma?
1. Fever, night sweat, weight loss
2. Generalized lymphadenopathy
3. Elderly
4. Reed stern berg cells

Correct answer: 4. Reed stern berg cells

Explanation: In classic Hodgkin lymphoma, the neoplastic cell is the Reed-Sternberg (RS) cell. Reed-Sternberg cells comprise only 1-2% of the total tumor cell mass. Most Reed-Sternberg cells are of B-cell origin. The Reed-Sternberg cells consistently express the CD30 (Ki-1) and CD15 (Leu-M1) antigens. Age-specific incidence rates of Hodgkin lymphoma and non-Hodgkin lymphoma have a bimodal distribution in both sexes, peaking in young adults (aged 15-34 y) and older individuals (>55 y). Asymptomatic lymphadenopathy may be present in both. Constitutional symptoms (eg, unexplained weight loss, fever, night sweats) are present in 40% of patients.